Garden spade deformity is seen in which fracture of hand ?
1. Barton's fracture
2. Colle's fracture
3. Smith's fracture
4. Bennet's fracture

Correct answer: 3. Smith's fracture

Explanation: SMITH'S FRACTURE (Reverse of Colles' Fracture) This uncommon fracture is seen in adults and in elderly people. Its importance lies in differentiating it from the commoner Colles' fracture which occurs at the same site. It differs from Colles' fracture in that the distal fragment displaces ventrally and tilts ventrally. Treatment is by closed reduction and plaster cast immobilisation for 6 weeks. Complications are similar to those in Colles' fracture. Ref: Maheshwari and Mhaskar 9th ed pg 114.